Which of the following does not contribute to digoxin toxicity ?
1. Hyperkalemia
2. Hypercalcemia
3. Renal failure
4. Hypomagnesemia

Correct answer: 1. Hyperkalemia